A patient is presenting to the emergency room with abrupt onset of motor symptoms. The neurology resident is unable to correlate the presentation and a concrete neurological diagnosis. It also appears that the patient is not very concerned about his own symptoms. This is called:
1. Labile affect
2. Labelle indifference
3. Affecting blunting
4. Incongruent affect

Correct answer: 2. Labelle indifference

Explanation: 1. La belle indifference Inappropriate attitude of calm or lack of concern about one's disability Seen in Dissociative or conversion disorders 2. Labile Affect Rapid and abrupt changes in emotion largely unrelated to external stimuli most commonly seen in mania 3. Affective blunting Severe reduction in the intensity of affect seen in Schizophrenia 4. Incongruent affect Patient may be feeling depressed or describe a depressive theme but do so with laughter, smiling and no suggestion of sadness seen in schizophrenia In the above question, the neurology resident is unable to correlate the presentation indicating conversion disorder and the patient is not very concerned towards his own symptoms indicating La belle indifference.